Peripheral iridectomy is indicated in-a) Acute angle closure glaucoma b) Open angle glaucomac) Malignant glaucomad) In ICCEe) Pupil block glaucoma
1. acd
2. ade
3. abd
4. ad

Correct answer: 2. ade

Explanation: Indications of peripheral iridectomy

Closed angle glaucoma with papillary block.
As a part of cateract surgery: - All ICCE, some cases of ECCE.
For optical purpose (optical iridectomy) In corneal opacities
Abscission of the prolapsed iris
Iris bombe formation (annular synechiae)
For removal of foreign body, cyst or tumour of the iris
As a part of trabeculectomy operation and in penetrating keratoplasty